Reversible loss of polarity with abnormality in size and shape of cells is known as?
1. Metaplasia
2. Anaplasia
3. Dysplasia
4. Hyperplasia

Correct answer: 3. Dysplasia

Explanation: Dysplasia is reversible
Anaplasia is irreversible